All of the following are true about Primary CNS Lymphoma except:
1. Most common type in immunocompetent patients is DLBCL
2. Glucocorticoids should be given before biopsy to reduce the risk of edema
3. Stereotactic biopsy is necessary for histologic diagnosis
4. High-dose methotrexate is used for the treatment

Correct answer: 2. Glucocorticoids should be given before biopsy to reduce the risk of edema

Explanation: PCNSL: Has increased incidence in immunocompromised patients Most common type in immunocompetent patients is DLBCL Lymphoma anywhere in the body- Biopsy is needed for diagnosis In PCNL - Stereotactic biopsy is necessary for histologic diagnosis Steroids are C/I as they have cytolytic effect on tumor PCNL is also known as Ghost tumor - tumor disappear if given steroids Treatment: Chemotherapy - high dose Methotrexate